Least predilection for distal ileum ?
1. Carcinoid syndrome
2. Meckel's diverticulum
3. Crohn disease
4. Zollinger - Ellison syndrome

Correct answer: 4. Zollinger - Ellison syndrome

Explanation: Ans. is 'd' i.e., Zollinger-Ellison syndrome Zollinger-Ellison syndrome (gastrinoma) does not usually occur in distal ileum. Carcinoid syndrome, Meckel's diverticulum and crohn disease can affect distal ileum.